All of the following are characteristic features of Kwashiorkar, except:
1. High blood osmolarity.
2. Hypoalbuminemia.
3. Edema.
4. Fatty liver.

Correct answer: 1. High blood osmolarity.

Explanation: Ans. is 'a' i.e. high blood osmolarity Kwashiorkar and marasmus are manifestation of protein energy malnutritionMarasmusrepresents the compensated phase of protein energy malnutrition. Kwashiorkar represents the decompensated phase of protein energy malnutrition Hair changes in KwashiorkarHair is thin, dry and brittle, easily pluckable Straight and hypopigmented *Flag sign* (Alternate bands of Hypo and hyperpigmented hair corresponding to the period of under and proper nutrition)Skin changes in KwashiorkarLarge areas of skin show erythema followed by hyperpigmentationFlaky paint dermatosis - Hyperpigmentation patches desquamate to expose raw hypopigmented areas. It give* the appearance of paint flaking off the surface of the wood.InfectionsThese children suffer from recurrent episodes of diarrhoea, respiratory and skin infections. Let's also see Marasmus